Sunderland classification is used for -
1. Nerve injury'
2. Muscle injury
3. Tendon injury'
4. Ligament injury

Correct answer: 1. Nerve injury'

Explanation: Ans. is 'a' i.e., Nerve injuryo Sunderland is an extension of the seddon classification and includes 5 types of nerve injuries.Type-1Conduction block (neuropraxia)Type -2Axonal injury (Axonotmesis)Type-3Type-2 plus endoneurium injuryType -4Type-3 plus perineurium injuryType -5Type-4 plus epineurium injury (Neurotmesis)